Guinea worm infestation is common in workers of
1. Step wells
2. Ponds
3. Fields
4. Cotton mills

Correct answer: 1. Step wells